An alcoholic patient comes to your office, he can not tell his name. There is gross in coordination in walking, and his eyes are deviated to one side. What is the probable diagnosis?
1. Wernicke's encephalopathy
2. Korsakoff's psychosis
3. Alcoholic hallucinosis
4. Delirium tremens

Correct answer: 1. Wernicke's encephalopathy

Explanation: Here there is history of ataxia (in coordination) and ophthalmoplegia. The inability to tell name might be because of confusional state. The likely diagnosis is Wernicke's encephalopathy. Wernicke's, encephalopathy acute Thiamine deficiency G- Global confusion O- Ophthalmoplegia (m/c 6th cranial nerve- abducens) A- Ataxia Rx- High dose of parenteral thiamine